Forceps used for maxillary fracture disimpaction
1. Rowe's
2. Bristows
3. Ashs
4. Walshams

Correct answer: 1. Rowe's